Feature indicative of anti-mortem drowning is -
1. Cutis anserine
2. Rigor mortis
3. Washerwomen feet
4. Grass and weeds grasped in the hand

Correct answer: 4. Grass and weeds grasped in the hand

Explanation: Reff: The synopsis of forensic medicine & Toxicology 28th edition pg:192 Cadaveric spasm: Presence of weeds, grass,sticks,twigs etc.,floating in water may be firmly grasped in the hands due to cadaveric spasm. It strongly suggest that the person was alive when drowned, because it indicates the struggle of the person for his life.